True about reticulocyte is?
1. Stained by supravital staining
2. Myeloid cell
3. Romanowsky stains are used
4. 5% is normal

Correct answer: 1. Stained by supravital staining

Explanation: Ans (a) Stained by supravital staining(Ref: Dacie 11th/pg34)Reticulocytes stained on Romanowsky stain (used for usual hematological staining) are called polychromatophils;However it is not a specific stain;